Investigation of choice in acute cholecystitis
1. OCG
2. HIDA scan
3. USG
4. CT

Correct answer: 3. USG

Explanation: Investigation of choice for acute cholecystitis : USG Gold standard for diagnosis of acute cholecystitis : HIDA scan USG is investigation for acute calculous cholecystitis, chronic cholecystitis and cholelithiasis Ref: Sabiston 20th edition Pgno :1493